Negri bodies are hallmark of Rabies, these Negri bodies are seen in?
1. Neurons
2. Microglia
3. Astrocytes
4. Oligodendroglia

Correct answer: 1. Neurons

Explanation: Negri bodies are intracytoplasmic eosinophilic inclusion seen inside the neurons, especially hippocampal pyramidal cells and parking cells.